The smoky stool is seen in which poisoning?
1. Phosphorus
2. Arsenic
3. Lead
4. Zinc

Correct answer: 1. Phosphorus

Explanation: Ans. is 'A' i.e., Phosphorus Acute poisoning of phosphorus* Breath smells of garlic.* Vomitus and stools may be luminous in the dark.* Smoky stool syndrome Faint fumes may emanate from the stools.* Manifestations of liver damage - tender hepatomegaly, jaundice which may progress to an olive green hue, flapping tremor of hands (asterixis), mousy odour to the breath (foetor hepaticus).